Months or years following radiotherapy, the irradiated oral mucosa
1. Undergoes necrosis
2. Develops candidiasis
3. Becomes atrophic
4. Develops granulomatosis

Correct answer: 3. Becomes atrophic